Which of the following is the treatment of choice for cryptococcal meningitis ?
1. Fluconazole
2. Itraconazole
3. Flucytosine
4. Amphotericin B

Correct answer: 4. Amphotericin B